True statements about PCR -a) Protein amplificationb) DNA amplificationc) Same as western blot testd) Detection of infecting organisms
1. c
2. d
3. bd
4. ac

Correct answer: 3. bd

Explanation: As PCR can be used to amplifying DNA sequences from any source - viral, bacterial, plant or animal, it can be used for detection of infecting organism.